Plasmapheresis is treatment of choice for
1. Henoch scholien purpura
2. Wegener's granulomatosis
3. Good Pasture's syndrome
4. Acute renal transplant rejection

Correct answer: 3. Good Pasture's syndrome